Which of the following histologic types of invasive breast cancer has the best prognosis?
1. Medullary carcinoma
2. Mucinous carcinoma
3. Tubular carcinoma
4. Ductal carcinoma

Correct answer: 3. Tubular carcinoma

Explanation: Tubular carcinoma has the best prognosis. Medullary and mucinous have intermediate and ductal and lobular the worse prognosis respectively.